Human placenta is:
1. Hemochorial
2. Endothen - esdothelima
3. Chorio - endothelial
4. Non-Discoidal

Correct answer: 1. Hemochorial

Explanation: Ans-A (Hemochorial) Ref: DC Dutta's Textbook of Obstetrics, 7th edn, pg 28Explanation:Human placentaStarts developing at 6 weeks and completed by 12 weeksHuman placenta is discoid, hemochorial, deciduateDevelopment of placentaFetal part - chorion frondosumMaternal part - deciduas hasalisCleavage of placenta following delivery occurs through deciduas spongiosumNormal weight - 500 gmsFunctional unit of placenta - chorionic villiUmbilical artery has 2 arteries and one veinNitabuch's membrane is absent in placenta accretaBlood flow in feto placental unit at term 500 ml/ minOxygen saturation inUmbilical vein -70-80 %Umbilical artery - 50 -60 %Intervillous space is filled with maternal bloodVolume of blood in mature placenta - 500 ml